Askin tumor:
1. Primitive neuroectodermal tumor in chest
2. Cholangiocarcinoma arising from bifurcation of bile duct
3. Lung adenocarcinoma involving apical region
4. Enterochromaffin cell tumor

Correct answer: 1. Primitive neuroectodermal tumor in chest

Explanation: Ans: A (PNET in chest) Ref: Benbrahim Z et al. A skin's tumor: a cose report and literature review. World J Surg Oncol. 2013: 11: 10.Explanation:Askin tumors (PNET of Chest wall)Primitive neuroectodermal tumors (PNET) arising from the chest wall.Ewing sarcoma and peripheral primitive neuroectodermal tumor (previously called peripheral neuroepithelioma) were originally described in the early 1900s as distinct clinicopathologic entities.They are rare malignant small round cell tumors that arise from the primitive nerve cells of the nervous system, but they can also occur outside the central nervous system in the chest wall, pelvis and extremities.Askin's tumor is a PNET of the thoracopulmo- nary regionIt develops from the soft tissues of the chest wall, particularly in the paravertebral region.Askin's tumor occurs in young Caucasian adults and is associated with poor prognosis.Cholangiocarcinoma arising from bifurcation of bile duct - Klatsin tumorLung adenocarcinoma involving apical region - Pancoast tumorOther named Tumors:Buschke-Lowenstein tumor- Giant condyloma acuminatumAckerman tumor - Subtype of Verrucous Carcinoma (Carcinoma cuniculatum)Gravvitz tumor - Renal cell carcinomaKrukenberg tumor - Metastatic secondaries in GIT from an ovarian primaryKuttner's stumor - Sialadenitis (sialoadenitis) -Inflammation of a salivary glandPotts puffy tumor - Frontal osteomyelitis with subperiosteal abscessWil ms tumor - Nephroblastoma affecting children